Marker specific for myeloid lineage-
1. CD 33
2. CD 14
3. CD 13
4. cMPO

Correct answer: 4. cMPO